Pulmonary thromboembolism on V-Q scan is suggested by:
1. Ventilation defect with normal perfusion
2. Perfusion defect with normal ventilation
3. Perfusion defect with ventilation defect
4. Normal perfusion and ventilation

Correct answer: 2. Perfusion defect with normal ventilation

Explanation: Ans. Perfusion defect with normal ventilation